The heart of activated sludge process is?
1. Aeration tank
2. Primary sedimentation
3. Digestion tank
4. Secondary sedimentation tank

Correct answer: 1. Aeration tank

Explanation: Sludge is managed aerobically; Aeration which is the heart of the sludge process is done in aeration tank.